After application of one stimulus, the time period in which the second stronger stimuli can from an impulse is called
1. Absolute refractory period
2. Relative refraction period
3. Latent refractory period
4. Local response

Correct answer: 2. Relative refraction period

Explanation: Ans. (b) Relative refraction period(Ref: Ganong, 25th ed/p.90)Absolute refractory period - No stimulus, no matter how strong, will not excite the nerve during absolute refractory periodRelative refractory period - Stronger than normal stimulus (suprathreshold stimulus) produces action potential in relative refractory period